Botryoid odontogenic cyst is a variant of
1. Lateral periodontal cyst
2. Apical periodontal cyst
3. Gingival cysts of new born
4. Gingival cysts of adult

Correct answer: 1. Lateral periodontal cyst